Which of the following is not a sexually transmitted disease
1. Hepatitis B
2. Amoebiasis
3. Bacterial vaginosis
4. Yaws

Correct answer: 4. Yaws

Explanation: Yaws is caused by Treponema pallidum pertenue. Infection is caused by direct contact with open ulcers, flies may act as mechanical vectors. The primary lesion is an extragenital papule that enlarges and breaks down to form an ulcerating granuloma. Ref: Textbook of microbiology; Ananthanarayan and paniker's; 10th edition; Pg:384.